Substance commonly used for organ/tissue preservation for histopathological examination is?
1. Ethyl alcohol
2. Formalin
3. Saturated salt solution
4. Normal saline

Correct answer: 2. Formalin

Explanation: ANSWER: (B) FormalinREF: Parikh 6th edition page 2.62Repeat in December 2009"10% formalin is used as a preservative for tissue meant for histopathological examination"